Most common site of primary carcinoma in a case of Krukenberg tumor is:
1. Gallbladder
2. Stomach
3. Breast
4. Ovary

Correct answer: 2. Stomach

Explanation: Krukenberg tumor is secondaries to the ovary, it is most commonly from the CA Stomach (usually adenocarcinoma of gastric pylorus). Other primary sites are breast cancer, appendix, colon, small intestine, rectum gall bladder, biliary tract. Firm to solid waxy consistency and it is bilateral in 90% cases Signet ring cells are seen Most often present in bilateral ovaries, consistent with metastatic nature